All are the features of rheumatoid arthrtitis except-
1. Osteosclerosis of joint
2. Soft tissue swelling
3. Narrowing of joint space
4. Periarticular osteoporosis

Correct answer: 1. Osteosclerosis of joint

Explanation: Ans. is "a' i.e., Osteosclerosis of joint Radiological features of RAo Following features are seen on X-ray :-Reduced j oint spaceErosion of articular marginsSubchondral cystsJuxta-articular rarefactionSoft tissue shadowr at the level of the joint because of joint effusion or synovial hypertrophyDeformities of the hand and fingersPeriarticular osteopenia (osteoporosis)